The synaptic transmission in autonomic ganglia is usually
1. Adrenergic
2. Mediated by NO
3. Cholinergic
4. None of the above

Correct answer: 3. Cholinergic

Explanation: Ref: HL Sharma 3rd ed pg: 132 Major neurotransmitter is ACH followed by Nor epinephrine